Pseudojaundice is an adverse effect of:
1. Phenytoin
2. Rifabutin
3. Omeprazole
4. Chlorpromazine

Correct answer: 2. Rifabutin

Explanation: Rifabutin: It is related to rifampin in structure and. mechanism of action; but less active against M. tuberculi and more active against MAC. Only partial cross resistance occurs between the two. In a dose of 300 mg/ day rifabutii1 is used for prophylaxis of MAC infection in AIDS patient:; For the treatment of established MAC infection, it has beer. added to ethambutol + clarithromycin/ azithrom' cir Gastrointestinal intolerance, rashes, granulocytopeni